Which drug is not acetylated ?
1. INH
2. Dapsone
3. Hydralazine
4. Metoclopropamide

Correct answer: 4. Metoclopropamide

Explanation: Metoclopromide Acetylation is a phase II metabolic reaction Phase II reactions serves to attach a conjugate to the drug molecule. After the phase II reactions all drugs becomes water soluble, so that they can be readily eliminated from the body. Phase II reactions includes - Glucuronidation - Acetylation - Methylation - Sulfation - Glycine conjugation Acetylation Drugs having amino or hydrazine resides are conjugated with the help of acetyl coenzyme A. Examples are : S - Sulfonamides (Dapsone) H- Hydralazine I - Isoniazid P - PAS Acetylation is a genetically mediated condition. Multiple genes control the acetyl transferases and the rate of acetylation shows genetic polymorphism